Which one is true about serotonin?
1. Sleep suppressant
2. Increase appitite
3. Vasoconstriction
4. Bronchodialtion

Correct answer: 3. Vasoconstriction

Explanation: Serotonin is a powerful vasoconstrictor, produces hyperpnea, increases tone of smooth muscle of intestine, bronchioles.(Ref: Textbook of physiology N Geetha 2nd edition page no.446)